The type of receptors present on T cells are:
1. IgG
2. IgD
3. CD4
4. Prostaglandins

Correct answer: 3. CD4

Explanation: Ans. is 'c' i.e., CD4(Ref: Ananthanarayan, 9th/e, p. 133 and 8th/e, p. 128)* Markers present on T cells are CD1, CD3, CD4, CD5 and CD8.